Toynbee test is used to the function of -
1. Eustachian tube
2. Tympanic membrane
3. Middle ear
4. Semicircular canal

Correct answer: 1. Eustachian tube

Explanation: Ans. is 'a' i.e., Eustachian tube Tests for Eustachian tube patency* Valsalva test* Methylene blue test* Sonotubometry* Politzer test* Toynbee test* Frenzel maneuver* Catheterization* Inflation - Deflation test